An eleven year old boy is having tinea capitis on his scalp. The most appropriate line of treatment is –
1. Oral griseofulvin therapy
2. Topical griseofulvin therapy
3. Shaving of the scalp
4. Selenium sulphide shampoo

Correct answer: 1. Oral griseofulvin therapy

Explanation: Systemic therapy for all dermatophytosis

Terbinafm  → DOC
Griseofulvin → 2nd choice

Once the mainstay of systemic therapy for dermatophytic infection, has now replaced by terbinafine.